Ovarian cause of hirsutism:
1. PCOD
2. Ovarian carcinoma
3. Dysgerminoma
4. Endometriotic cyst

Correct answer: 1. PCOD

Explanation: Ref: Shaw's textbook of gynaecology, 15th ed. Pg 115Explanation:Ovarian causes of hirsutism:PCODHypeerthecosisMasculinising ovarian tumorArrhenoblastomaHilus cell tumorCauses of HirsutismGenetic and ethnic.Excess androgen or increased sensitivity of the pilosebaceous unit to testosterone.Liver disease when the level of SHBG level drops.Ovarian.PCOD (polycystic ovarian disease)HyperthecosisMasculinizing ovarian tumours, e.g. arrhenoblastoma,Hilus cell tumourAdrenalCongenital adrenal hyperplasiaCushing's syndromeAdrenal tumour (1-2% cases).DrugsAndrogensProgestogens with androgenic effectLevonorgestrelAnabolic steroidsPhenytoin.DanazolMinoxidilOthersObesityHypothyroidism Anovulatory hypo-oestrogenismIdiopathic-15%,Hyperprolactinaemia.Hirsutism occurs early in CAS, around puberty in PCOD and at menopause.